A 60-year-old man is rushed to the hospital with acute liver failure. He undergoes successful orthotopic liver transplantation; however, the transplanted liver does not produce much bile for the first 3 days. Poor graft function in this patient is thought to be the result of "reperfusion injury." Which of the following substances was the most likely cause of reperfusion injury in this patient's transplanted liver?
1. Cationic proteins
2. Free ferric iron
3. Hydrochlorous acid
4. Reactive oxygen species

Correct answer: 4. Reactive oxygen species

Explanation: The answer is D: Reactive oxygen species. Ischemia/reperfusion (I/R) injury is a common clinical problem that arises in the setting of occlusive cardiovascular disease, infection, transplantation, shock, and many other circumstances. The genesis of I/R injury relates to the interplay between transient ischemia and the re-establishment of blood flow (reperfusion) Initially, ischemia produces a type of cellular damage that leads to the generation of free radical species. Subsequently, reperfusion provides abundant molecular oxygen (O2 ) to combine with free radicals to form reactive oxygen species Oxygen radicals are formed inside cells through the xanthine oxidase pathway and released from activated neutrophils.Diagnosis: Myocardial infarction Ischemia/reperfusion (I/R) injury IN heart causeCONTRACTION BAND NECROSIS a.Hemorrhage and contraction bands, visible as prominent hypereosinophilic cross-striations spanning myofibers are seen microscopically.